A patient aged 63 years, is diagnosed to have severe aplastic anemia. HLA compatible sibling is available. The best option of treatment is :
1. Anti-thymocyte globulin followed by cyclosporine
2. A conventional bone marrow transplantation from the HLA identical sibling
3. A non-myeloablative bone marrow transplantation from the HLA identical sibling
4. Cyclosporine

Correct answer: 1. Anti-thymocyte globulin followed by cyclosporine

Explanation: Answer is A (Antithymocyte globulin followed by cyclosporine) Tor adults over age 50 years or those without HLA matched siblings, the treatment of choice for severe Aplastic anemia is immunosupression with antithymocyte globulin (A TG) plus Cvclosporine'